Mean done density amongst two groups of 50 people each is compared with each other. The test of significance used would be -
1. Paired - t- test
2. Student t-test
3. Analysis of variance
4. Chi-Square test

Correct answer: 2. Student t-test

Explanation: Ref:parks 23rd edition pg 852 Here it is a Quantitative measurement and involves 2 groups. So we use Student T test or unpaired T test . Tests of significance: Qualitative: Chi- square : 2 or more than 2 groups Mc Nemar test : 1 group. ( before and after intervention) Quantitative: Paired T test: 1 group Student T test/ unpaired T test: 2 groups Anova: more than 2 groups.